True about isoenzymes is/are:
1. Different km value
2. Act on different substrate
3. Same electrophoretic mobility
4. All

Correct answer: 1. Different km value

Explanation: Isozymes are the physically distinct forms of the same enzymes that catalyze the same reaction, and differ from each other structurally, electrophoretically and immunologically. They differ in their physical properties because of genetically determined difference in amino acid sequence. They are separated by electrophoresis as they have different electrophoretic mobility. They have different Km value. Isoenzyme of an oligomeric enzyme process differ in combination of its peptide protomer.